Actions of the lumbricals are-
1. Flexion at PIP and extension at DIP joints
2. Flexion at metacarpophalangeal and extension at PIP joints
3. Adduction of fingers
4. Abduction of fingers

Correct answer: 2. Flexion at metacarpophalangeal and extension at PIP joints

Explanation: Ans. is 'b' i.e., Flexion at metacarpophalangeal and extension at PIP joints Action of small muscles in handLumbricalsFlexion at metacarpophalangeal(MCP) and extension at PIP jointsDorsal InterosseiAbduction of fingersPalmar InterosseiAdduction of fingers